Not included in numerator of dependency ratio-
1. 5 years age group
2. 10 years age group
3. 20 years age group
4. 70 years age group

Correct answer: 3. 20 years age group

Explanation: Ans. is 'c' i.e., 20 years age group Dependency ratioo The proportion of persons above 65 years of age and children below 15 years of age are considered to be dependent on the economically productive age group (15-64 years),o The ratio of combined age group 0-14 years plus 65 years and above to the 15-65 years age group is known as total dependency ratio.Total dependency ratio =Age group 0-14 yrs & age group above 65 yrsAge group between 15-65 yrso It is also referred to as the societal dependency ratio and reflects the need for a society to provide for their younger and older population groups.